All are true about Reye's Syndrome Except:
1. Hepatic encephalopathy
2. Seen with ampicillin therapy
3. Fever and rash
4. Viral associated

Correct answer: 2. Seen with ampicillin therapy

Explanation: The use of aspirin and other salicylates to control fever during viral infections (influenza and chickenpox) in children and adolescents is associated with an increased incidence of Reye's syndrome, an illness characterized by vomiting, hepatic disturbances, and encephalopathy that has a 35% mortality rate. Acetaminophen is recommended as a substitute for children with fever of unknown etiology. Ref: ESSENTIALS OF MEDICAL PHARMACOLOGY;7TH EDITION;KD TRIPATHI;PAGE NO 197